Flash backs are seen with
1. LSD
2. Cocaine
3. Opiate
4. Amphetamine

Correct answer: 1. LSD

Explanation: A i.e. LSD Spontaneous recurrence of LSDQ, or sometimes cannabis use experience even during a withdrawl state is known as Flash back LSD intoxication causes bad tripsQ ie acute panic reaction in which the individual experiences a loss of control over his self.